Vidian nerve is also called -
1. Superior petrosal nerve
2. Greater petrosal nerve
3. Nerve to pterygoid canal
4. Auricular branch of vagus

Correct answer: 3. Nerve to pterygoid canal

Explanation: Ans. is 'c' i.e., Nerve to pterygoid canal o Greater petorsal nerve units with deep petrosal nerve to form nerve to pterygoid canal (also called vidian nerve).o It carries secretomotor fibers to nasal gland via pterygopalatine ganglion.Also knowo Auricular branch of vagus is also called as Arnold's nerve or Alderman's nerve.